As compared to total etch adhesives, self etching primers are
1. More technique sensitive
2. Less technique sensitive
3. Same in sensitivity
4. None of the above

Correct answer: 2. Less technique sensitive